Which of the following is derived from the Wolffian duct?
1. Appendix of testis
2. Uterus
3. Appendix of epididymis
4. Prostate

Correct answer: 3. Appendix of epididymis

Explanation: An appendix of the epididymis is a developmental remnant of the mesonephric duct (Wolffian duct) which can be found in the head of the epididymis. In the female, in the absence of testosterone, the Wolffian duct regresses. However, inclusions may persist resulting in the epoophoron and Skene's glands. Where a remnant exists lateral to the wall of the vagina a Gartner's duct or Gartner's cyst may form. In males, the Wolffian duct develops into the rete testis, the efferent ducts, the epididymis, the ductus deferens and the seminal vesicles. The prostate is formed separately from the urogenital sinus. In both the male and the female the Wolffian duct develops into the trigone of the urinary bladder. Ref: Gray's 39e/p-1289